Centre of resistance for entire maxillary dentition lies:
1. Between roots of lateral incisors and canine
2. Between roots of premolars
3. Between both the central incisors
4. At the zygomaticomaxillary suture

Correct answer: 2. Between roots of premolars

Explanation: 2 centre of resistance of upper anterior segment: Between roots of lateral incisors and canine.
For entire maxillary dentition: Between the roots of premolars.
For maxillary jaw bone: Zygomaticomaxillary suture.